Unmyelinated fibers differ from myelinated fibers in that they:
1. Have increased excitability
2. Have no nodes of Ranvier
3. Have no power of regeneration
4. Have no association of Schwann cells

Correct answer: 2. Have no nodes of Ranvier